Spinothalamic tract carries the following EXCEPT:
1. Pain
2. Touch
3. Temperature
4. Vibration

Correct answer: 4. Vibration

Explanation: Ans. d (Vibration). (Ref. Ganong, Physiology, 21 st/pg.- 139)SPINOTHALAMIC OR ANTEROLATERAL TRACT CARRIESDORSAL COLUMN TRACT CARRIES1. Crude touch1. Fine touch2. Pressure2. Position sense3. Position sense3. Vibration4. Pain including itching4. Pressure sense5. Warm and cold sensation